"Prion" group of diseases include
1. Creutzfeldt-Jacob disease
2. Subacute sclerosing panencephalitis
3. Alzheimer's disease
4. Parkinson disease

Correct answer: 1. Creutzfeldt-Jacob disease

Explanation: (A) Creutzfeldt-Jacob disease # Prion Disease:> Prions are infectious proteins that cause degeneration of the Central Nervous System (CNS).> Prion diseases are disorders of protein conformation, the most common of which in humans is called Creutzfeldt-Jackob Disease (CJD).> CJD typically presents with dementia and myoclonus, is restlessly progressive, and generally cause death within a year of onset.> Most CJD patients are between 50 & 75 years of age; however, patients as young as 17 years and as old as 83 years have recorded. SLOW VIRUS DISEASESGroup A* Visna* Maedi (progressive pneumonia)Non-oncogenic retrovirus (Lentivirus), HIVGroup B* Affects in human* Creutzfeldt Jakob disease* Kuru* Fatal familial insomnia* Gerstmann-Straussler-Scheinker syndrome* Sub acute spongioform VE (SSVE)/Bovine* spongioform encephalopathy/(Mad cow disease)* Chronic wasting disease of deer & elk* Scarpie in sheep & goats* Mink transmissible encephalopathyPrion diseasesCorneal transplant may spread C-J diseaseGroup C* SSPE (delayed c/c of measles)* Progressive Multifocal LeukoencephalopathyDue to Papova virus